Most common congenital dysplasia of Ear is
1. Michel aplasia
2. Mondini's dysplasia
3. Alexander's dysplasia
4. Scheibe's dysplasia

Correct answer: 4. Scheibe's dysplasia